The first symptom in tuberculosis of kidney is:
1. Hematuria
2. Increased frequency of micturition
3. Hesitancy
4. Pain

Correct answer: 2. Increased frequency of micturition

Explanation: Clinical features Renal tuberculosis usually occurs between 20 and 40 years of age, and is more common in men than women. Urinary frequency is often the earliest symptom and may be the only one.The patient complaints of a progressive increase in both daytime and night time frequency. Also Know: Painful micturition is a feature of tuberculous cystitis.In 5% of cases first symptom is haematuria occuring from an ulcer on renal papilla. Ref :Bailey & Love's Short Practice of Surgery 26E Page 1302